In which of the following uveitic conditions is it contraindicated to put intraocular lens after cataract extraction
1. Fuchs heterochromic cyclitis
2. Juvenile rheumatoid arthritis
3. Psoriatic arthritis
4. Reiters syndrome

Correct answer: 2. Juvenile rheumatoid arthritis

Explanation: Inflammatory reaction in children is always serious and if the child is already suffering from uveitis IOL implantations can detoriate the condition Bewafa. REF:Khurana 6th edition page number 205